A 30 year old male from West Bengal presents to you with hyperkeratosis, and transverse nail lines, Most likely cause is -
1. Chronic arsenic poisoning
2. Chronic lead poisoning
3. Chronic mercury poisoning
4. Acute arsenic poisoning

Correct answer: 1. Chronic arsenic poisoning